Lesion of right optic tract will leads to -
1. Bitemporal hemianopia
2. Right homonymus hemianopia
3. Left homonymous hemianopia
4. Binasal hemianopia

Correct answer: 3. Left homonymous hemianopia

Explanation: Left homonymous hemianopia. Lesions of optic tract. These are characterised by incongruous homonymous hemianopia associated with contralateral hemianopic pupillary reaction (Wernicke's reaction). These lesions usually lead to partial descending optic atrophy and may be associated with contralateral third nerve paralysis and ipsilateral hemiplegia. Common causes of optic tract lesions are syphilitic meningitis or gumma, tuberculosis and tumours of optic thalamus and aneurysms of superior cerebellar or posterior cerebral arteries. Ref:AK Khurana 4thE pg 290